Other than pemphigus, Nikolsky's sign is positive in:
1. Familial benign chronic pemphigus
2. Hailey- Hailey disease
3. Epidermolysis bullosa
4. All of the above

Correct answer: 4. All of the above

Explanation: “Nikolsky's sign” is positive in:

Pemphigus.
Familial benign chronic pemphigus (hailey-hailey disease).
Recessive dystrophic epidermolysis bullosa .